All of the following heart sounds occur shortly after S2 CART Cepi:
1. Opening snap
2. Pericardial knock
3. Ejection click
4. Tumor plop

Correct answer: 3. Ejection click

Explanation: Answer is C (Ejection click) Ejection click is a sharp high pitched sound e that occurs immediately after First Heart Sound and not after the second. It occurs as a result of sudden opening of semilunar valves in conditions where this opening is delayed such as Aortic valve stenosis Q,Pulmonary valve stenosis Q,Hypertension Q. Shortly after SI Q Shortly before SI Q Between SI & S2 Q Shortly after S2 Q Ejection click Fourth heart sound Midsystolic click Opening snap /pericardial knock tumor plop /S3 Ejection Click Opening Snap Pericardial knock Tumor Plop * Sharp, High pitched sound Q * Brief, High pitched sound 2 * A third heart sound that is higher pitched than normal * Tumor plop is a characteristic low pitched sound Q (S3 is low pitched). * Audible during early systole Q * Audible during early diastole Q * Audible during early * Audible during early or (immediately after SI) (between 0.04 to 0.12 sec after diastole mid diastole Q A2) (within 0.01 to 0.12 sec after A2) * Seen in Aortic stenosis (2, * Seen in stenosis of AV valves * Seen in constrictive * Seen in conditions like Pulmonary stenosis Q, (Mitral stenosis Q > Tricuspid pericarditis Q and atrial myxoma Q and Hypertension Q and is stenosis) produced due to sudden produced due to the produced due to sudden deceleration of venticular tumor abruptly stopping opening of semilunar valves in filling because of as it strikes the conditions where this opening is delayed. restrictive effect of adherent pericardium. ventricular wall